Discoid lesion seen in:
1. Prelymphomatous eruption
2. Pityriasis versicolor
3. Tinea capitis
4. Lichen nitidus

Correct answer: 1. Prelymphomatous eruption

Explanation: Discoid lesion is seen in Prelymphomatous eruption Macules - Pityriasis Versicolor Erythematous papules - Tinea capitis Flat topped micropapules -Lichen Nitidus